Antidotes for acute iron poisoning -
1. Desferrioxamine
2. Na EDTA
3. BAL
4. Penicillamine

Correct answer: 1. Desferrioxamine

Explanation: ​​Desferioxamine is the antidote of choice in acute iron poisoning.